Enzyme involved in binding of & for conjugated bilirubin formation is
1. Kinases
2. Ligases
3. Syntheses
4. Transferases

Correct answer: 4. Transferases

Explanation: In the liver, bilirubin is conjugated with glucuronic acid by the enzyme glucuronyltransferase, making it soluble in water: the conjugated version is the main form of bilirubin present in the "direct" bilirubin fraction. Much of it goes into the bile and thus out into the small intestine. Ref biochemistry satyanarayana 4e